Which enzyme is used to convert phenylalanine to tyrosine:
1. Tyrosine synthase
2. Tyrosine hydroxylase
3. Phenylalanine hydroxylase
4. Phenyl ethanolamine methyltransferase

Correct answer: 3. Phenylalanine hydroxylase

Explanation: Ans. (c) Phenylalanine hydroxylaseRef: Harpers Biochemistry, 30th ed. pg. 509-510* Phenylalanine hydroxylase: for conversion of Phenylalanine to tyrosine conversion* Tyrosine hydroxylase: for conversion of tyrosine to L-Dopa* Phenyl ethanolamine-N-methyltransferase: for conversion of norepinephrine to epinephrine